Which of the following cartilage has signet ring shape -
1. Thyroid
2. Cricoid
3. Cuneiform
4. Arytenoid

Correct answer: 2. Cricoid

Explanation: Cricoid cartilage is the only cartilage forming a complete ring, therefore is shaped like a ring.